The rate adjusted to allow for the age distribution of the population is
1. Age- standardized mortality rate
2. Peri-natal mortality rate
3. Fertility rate
4. Crude mortality rate

Correct answer: 1. Age- standardized mortality rate